In PHC how to dispose placenta
1. Microwaving
2. Autoclaving
3. Chemical treatment
4. Incineration

Correct answer: 4. Incineration

Explanation: placenta is a human anatomical waste that comes under category no 1. -
category no 1 wastes are discarded in yellow colour plastic bag and should be treated by incineration.